The most common form of gingival disease is:
1. Gingivitis
2. Periodontitis
3. Gingival recession
4. None of the above

Correct answer: 1. Gingivitis